Berkesonian bias is a selection bias which occurs in?
1. Community-based studies
2. Hospital-based studies
3. Laboratory-based studies
4. Natural exposure studies

Correct answer: 2. Hospital-based studies

Explanation: Ans. is 'b' i.e., Hospital-based studies